Bacitracin is a
1. Oral antibiotic
2. Topical antibiotic
3. Parenteral antibiotic
4. All

Correct answer: 2. Topical antibiotic